T11/2 of Haptoglobin complex is
1. 5 days
2. 3 days
3. 10 days
4. 10 minutes

Correct answer: 4. 10 minutes

Explanation: Answer- D. 10 minutesHemoglobin-haptoglobin complexes are rapidly cleared from circulation monocytes and tissue macrophages CDl63 receptors 15.Free haptoglobin has a half-life of 5 days, whereas hemoglobin-haptoglobin complexes have a half-life of l6minutes.